IV Immunoglobulin is given in -a) Kawasaki diseaseb) PANc) Wegener's granulomatosisd) Bruton's diseasee) Guilain Barre syndrome
1. abc
2. ade
3. cde
4. acd

Correct answer: 2. ade